Pin index of oxygen is:
1. 0, 5
2. 1, 5
3. 2, 5
4. 3, 5 Laughing

Correct answer: 3. 2, 5

Explanation: Ans. C: 2, 5 A gas-specific pin-index system is provided on small cylinders: pins on the yoke of the anaesthetic machine mate with holes drilled in specific positions on the valve of the cylinder to provide a mechanical means of preventing incorrect connection. Index positions: Oxygen 2 and 5 Nitrous oxide 3 and 5 Air 1 and 5.